Stress ulcers seen in burns are:
1. Curling's ulcer
2. Cushing's ulcer
3. Meleney's ulcer
4. Rodent ulcer

Correct answer: 1. Curling's ulcer

Explanation: Answer is A (Curling's Ulcer) Stress ulcers after severe burns are called curling's ulcers Stress ulcers after head trauma : Cushing's Ulcers Stress ulcers after severe burns : Curling's Ulcers